In Breslau's second life test, organ tested is
1. Brain
2. Heart
3. Lung
4. Stomach and Intestine

Correct answer: 4. Stomach and Intestine

Explanation: D i.e. Stomach & Intestine Breslau's second life (or Stomach Bowel) test says that air will be swallowed & so may pass into stomach & small intestine when respiration establishes.